Juvenile papillomatoses is caused by?
1. HPV
2. EBV
3. CMV
4. HSV

Correct answer: 1. HPV

Explanation: There are two variants based on the age of onset: juvenileand adult laryngeal papillomatosis. The tumors are causedby human papillomavirus (HPV) infection of the throat. The tumors may lead to narrowing of the airway, which may cause vocal changes or airway obstruction.